Which one of the following is an appropriate description of mangrove plants?
1. Large wood-yielding tress of the tropical forests
2. Plants in marshy areas with breathing roots
3. Succulent plants that can thrive in arid/desert areas
4. Vast grassland areas interspersed with deciduous tress and throny bushes

Correct answer: 2. Plants in marshy areas with breathing roots

Explanation: A mangrove is a shrub or small tree that grows in coastal saline or brackish water. The term is also used for tropical coastal vegetation consisting of such species. Mangroves occur worldwide in the tropics and subtropics, Mangroves are salt-tolerant trees, also called halophytes, and are adapted to life in harsh coastal conditions. They contain a complex salt filtration system and complex root system to cope with salt water immersion and wave action. They are adapted to the low oxygen conditions of waterlogged mud Ref: https://en.m.wikipedia.org/wiki/Mangrove